The growth phase of hair is
1. Telogen
2. Anagen
3. Metagen
4. Progen

Correct answer: 2. Anagen

Explanation: (Anagen): (1242- Davidson 21st edition)* Hairs in humans do not grow continuosely but in a cycle with three phases* Anagen, in which the hair grows* Catagen a transitional phase* Telogen a resting stage* The individual duration of the components of the cell cycle varies by site* On the scalp, anagen will last several years, whereas catagen lasts only a few days and telogen around 3 months* Highest density of hair follicles is on the scalp, which has between 500 and 1000/cm2